Management of non-immunized diphtheria contacts include all except:
1. Prophylactic penicillin
2. Daily throat examination
3. Daily throat swab culture
4. Weekly throat swab examination

Correct answer: 3. Daily throat swab culture

Explanation: Management of Diphtheria contacts: Immunisation If primary immunisation or booster was received more than 2 years: No further action. If primary immunisation or booster was received more than 2 years ago: 1 booster dose If unimmunised contact: Active immunisation + 1000-2000 units Azithromycin + prophylatic penicillin/erythromycin Examination: Physical examination: Daily for 1 week after exposure Throat swabbing: Weekly for several weeks. Ref: 174